Eradication of polio type 2 done on
1. 12-May-14
2. 20-Sep-15
3. 14-Jul-16
4. 22-Feb-03

Correct answer: 2. 20-Sep-15